The main catabolic product/products of purine nuleotides in humans is which one of the following:
1. Ammonia + CO2
2. Ammonia
3. Uric Acid
4. CO2 and Water

Correct answer: 3. Uric Acid

Explanation: Ans. (c) Uric AcidRef: Harper's Biochemistry, 30th edn. pg. 347-357Purines are metabolized by several enzymes:GUANINE* A nuclease frees the nucleotide* A nucleotidase creates guanosine* Purine nucleoside phosphorylase converts guanosine to guanine* Guanase converts guanine to xanthine* Xanthine oxidase (a form of xanthine oxidoreductase) catalyzes the oxidation of xanthine to uric acidADENINE* A nuclease frees the nucleotide# A nucleotidase creates adenosine, then adenosine deaminase creates inosine# Alternatively, AMP deaminase creates inosinic acid, then a nucleotidase creates inosine* Purine nucleoside phosphorylase acts upon inosine to create hypoxanthine* Xanthine oxidoreductase catalyzes the biotransformation of hypoxanthine to xanthine* Xanthine oxido-reductase acts upon xanthine to create uric acid